Which of the following joint best simulates the TMJ histologically & morphologically?
1. Sternoclavicular graft
2. 5th  costochondral graft
3. 3rd  metatarsal graft
4. None of the above

Correct answer: 1. Sternoclavicular graft

Explanation: The sternoclavicular joint or sternoclavicular articulation is the joint between the manubrium of the sternum and the clavicle bone. It is structurally classed as a synovial saddle joint and functionally classed as a diarthrosis and multiaxial joint. It is composed of two portions separated by an articular disc of fibrocartilage.
The histologic sections were compared with mandibular condyles of the same ages. The results indicate that the TMJ and SCJ are very similar morphologically throughout the growth period. The clavicular head contained layers of cartilage typical of the mandibular condyle, i.e., articular, prechondroblastic, chondroblastic, hypertrophic, and endochondral ossification layers, at each age during growth. Like those in the condyle, the hypertrophic cartilage cells were arranged in an apparently random, noncolumnar fashion.